Functional unit of Liver is
1. Hepatocytes
2. Portal Tracts
3. Liver Acinus
4. Hepatic Lobule

Correct answer: 3. Liver Acinus

Explanation: Anatomical unit of liver - Hepatic Lobule Functional unit of liver- Liver Acinus